A 75-year old woman with chronic atrial fibrillation presented to the hospital with a 2-day of colicky abdominal pain. The physical examination revealed hypoactive bowel sounds and diffuse abdominal tenderness. Laboratory tests showed a white cell count of 19,400 per cubic millimeter with 92% neutrophils, a blood urea nitrogen level of 42 mg per deciliter (15 p,mol per liter) and a serum creatinine level of 3.0 mg per deciliter (267 fimol per liter). The most probable diagnosis in this pateint would be-
1. Portal view thrombosis
2. Mesenteric ischemia
3. Intestinal perforation
4. Lynch syndrome

Correct answer: 2. Mesenteric ischemia

Explanation: Mesenteric ischemia is a medical condition in which injury to the small intestine occurs due to not enough blood supply. It can come on suddenly, known as acute mesenteric ischemia, or gradually, known as chronic mesenteric ischemia. Ref Davidson 23rd edition pg 915